Oochronosis is found in:
1. Alkaptonuria
2. Tyrosinemia
3. Phenylketonuria
4. Homocystinuria

Correct answer: 1. Alkaptonuria

Explanation: a. Alkaptonuria(Ref: Nelson's 20/e p 636, Ghai 8/e p 652)Ochronosis (dark spot on sclera/ear cartilage) is seen in Alkaptonuria which is an autosomal recessive disorder due to deficiency of enzyme homogentisic acid oxidase.